Which of the following anaesthetic agents has the least analgesic effect?
1. N2O
2. Ether
3. Halothane
4. Cyclopropane

Correct answer: 3. Halothane

Explanation: N2O is a potent analgesic but not a potent anesthetic. Halothane is a good anaesthetic but poor analgesic.